Most common complication of mumps is
1. Orchitis and oophritis
2. Encephalitis
3. Pneumonia
4. Myocarditis

Correct answer: 1. Orchitis and oophritis

Explanation: Ans. is 'a' i.e., Orchitis and oophritis(Ref: Harrison, 18th/e, 1609; 19th/e, p. 1298)* Epididymoorchitis is the most common manifestation of mumps among postpubertal males (15-30%).* Aseptic meningitis (<10%), which may develop before, during, after, or in the absence of parotitis.* Oophritis (5%) and Pancreatitis (4%).